Ideal dose of Diptheria antitoxin given for treatment is
1. 10,000 to 1,00,000 units
2. 10,000 to 2,00,000 units
3. 20,000 to 1,00,000 units
4. 20,000 to 2,00,000 units

Correct answer: 3. 20,000 to 1,00,000 units

Explanation: * Specific treatment of diphtheria consists of antitoxic and antibiotic therapy. * Antitoxin should be given immediately when diphtheria is suspected, as the fatality rate increases with delay in starting antitoxic treatment. * Antibiotic treatment only supplements and does not replace antitoxic therapy. * Diphtheria antitoxin should be given in respiratory diphtheria - 20,000 to 1,00,000 units. Ref:- Ananthanarayan and Paniker's Textbook of Microbiology 10th ed; Pg num:- 245